Fracture of necessity is used to describe -
1. Cottons fracture
2. Galeazzi fracture
3. Monteggia fracture
4. Rolando fracture

Correct answer: 2. Galeazzi fracture

Explanation: Ans. is 'b' i.e., Galleazzi fracture * "Closed reduction is usually not successful due to the deforming forces of the muscles. Hence, open reduction and internal fixation is the preferred method of treatment. Campbell noted this in 1941 and termed Galeazzi fracture as "Fracture of necessity".